Diagnostic criteria for drug dependence includes all except -
1. Tolerance
2. Withdrawal symptoms
3. Early completion of tasks
4. Larger dose than usual

Correct answer: 3. Early completion of tasks

Explanation: Ans. is 'c' i.e., Early completion of tasks Diagnostic criteria for substance abuseo To make a diagnosis of dependence, three or more of the following criteria should be present.Tolerance Same dose produces markedly diminished effect on continuous use, therefore increased doses are required to produce same effect.Withdrawal symptoms on abstinence.Substance is taken in larger amount or longer period than was intended.Persistent desire (craving) or sense of compulsion to take the substance.A great deal of time spent to obtain the substance, to use substance or to recover from its effect.Neglect of important social, occupational and recreational activities.Continued substance use despite clear evidence of overtly harmful consequences.